Function of PHC are -
1. Referral services
2. Family planning & referral services
3. Basic laboratory services
4. All

Correct answer: 4. All

Explanation: Ans. is 'a' i.e., Referral services; "b' i.e., Family planning & referral services; 'c' i.e., Basic laboratory services Function of PHC 1) Medical care 2) MCH including family planing 3) Safe water supply and basic sanitation 4) Prevention and control of locally endemic diseases 5) Collection and reporting of vital stastistics 6) Education about health 7) National Health programmes 8) Referral services 9) Training of health guides, health workers, local dais and health assistants 10) Basic laboratory services Following minor surgical procedure also done in PHC Vasectomy Tubectomy MTP and minor surgical procedure Pediatric care Specialist in surgery, medicine, obstetrics and gynaecology and paediatrics with X-ray and laboratory services are present in CHC.